Which of the following is true regarding essential medicines
1. Drugs for emergency conditions
2. Drugs for serious disorders
3. Drugs to satisfy priority needs of the populations
4. Newer orphan drugs

Correct answer: 3. Drugs to satisfy priority needs of the populations

Explanation: essential drugs- needed to satisfy primary health care needs of the society regularly indian govt will release national list of essential medicines - these drugs should be available in all PHCs and in government hospitals orphan drugs - for rare diseases Ref KD tripathi 8th ed.